Stapes foot plate covers:
1. Round window
2. Oval window
3. Sinus tympani
4. Pyramid

Correct answer: 2. Oval window

Explanation: The Oval window is covered by the footplate of stapes. The Round window is covered by secondary tympanic membrane.